Osteoma of PNS is commonest in:
1. Ethmoidal
2. Maxillary
3. Sphenoid
4. Frontal

Correct answer: 4. Frontal

Explanation: Ans. D Frontal sinus Craniofacial osteomas are benign tumors often originating in the paranasal sinuses The frontal sinus is the most frequent location followed by the ethmoid, maxillary and sphenoid sinus, respectively Age of presentation = second to fifth decade with a male-femate ratio - 3:1. Presentation: - Generally they are an incidental finding on radiography - It may produce symptoms like - - Visual impairment - Intracranial neurological complications like meningitis or pneumocephalus with seizure. Ref. Scott Brown 7th/ed Vol2 p 1521 Management Removal by endoscopic sinus surgery.